In Alibe Bazin syndrome, origin of lymphoma is from:-
1. Eosinophil
2. B lymphocyte
3. Monocyte
4. T lymphocyte

Correct answer: 4. T lymphocyte

Explanation: - Alibe Bazin syndrome is the other name given for condition MYCOSIS FUNGOIDES. - MYCOSIS FUNGOIDES is the cancer arising from T-Cells - It is associated with cutaneous T-Cell lymphoma - Cutaneous T-Cell lymphoma, the tumor cells has high chances of skin infiltration called as EPIDERMOTROPISM & can also be present in the blood. - Findings of EPIDERMOTROPISM a PAUTRIERS MICROABSCESS - HALLMARK FEATURE of tumor cells a CEREBRIFORM NUCLEI. Tx- Steroids, UV Radiation, Vorinostat- Histone Deacetylase inhibitor.